Serine is produced in human from -
1. Glycine
2. Methionine
3. Homocysteine
4. Homoserine

Correct answer: 1. Glycine

Explanation: Ans. is 'a' i.e., GlycineSerine is converted to glycine and after that its metabolism is similar to glycine. Conversion of serine to glycine is reversible reaction; therefore, serine is synthesized also from glycine.